24 years old female patient presents with acute blood loss secondary to bilateral fracture femur. Reticulocytosis is evident on peripheral smear examination. Patient's anemia can be categorized into which of the following types?
1. Normocytic normochromic
2. Normocytic Hypochromic
3. Microcytic hypochromic
4. Microcytic normochromic

Correct answer: 1. Normocytic normochromic

Explanation: Answer- A. Normocytic normochromicAnemia Due to Acute Blood loss (Acute posthemorrhagic anemia):It is a variety of normocytic normochromic anemia.Posthemorrhagic anemia can be external (as after trauma, or obstetric hemorrhage) or internal (e.g., from bleeding in the gastrointestinal tract, rupture of the spleen, rupture of an ectopic pregnancy, subarachnoid hemorrhage).Such type of anemia is accompanied by reticulocytosis.